structure passing through deep inguinal ring:
1. Inferior epigastric vessels
2. Spermatic cord
3. Ilioinguinal nerve
4. Femoral branch of genitofemoral nerve

Correct answer: 2. Spermatic cord

Explanation: Spermatic cord passes through deep inguinal ring. Inferior epigastric vessels lie medial to the ring. Genital (not femoral) branch of genitofemoral nerve passes through deep inguinal ring. Ilioinguinal nerve enters the inguinal canal by piercing the wall and not through the deep inguinal ring.